Zinc deficiency causes -a) Cardiomyopathyb) Reduced growthc) Intellectual Disabilityd) Gonadal atrophy
1. c
2. d
3. ab
4. bd

Correct answer: 4. bd